In a fracture shaft humerus, which of the following complication requires immediate surgery?
1. Compound fracture
2. Nerve injury
3. Brachial artery occlusion
4. Comminuted fracture

Correct answer: 3. Brachial artery occlusion

Explanation: C i.e. Brachial artery occulsion The absolute indications for immediate operative management of fracture shaft humerus are - associated vascular injuryQ (eg. branchial artery rupture, occlusion etc) and associated higher grade (not all) open woundsQ